Type of E.coli associated with the Hemolytic uremic syndrome?
1. EHEC
2. EAEC
3. EPEC
4. EIEC

Correct answer: 1. EHEC

Explanation: Enterohemorrhagic Escherichia coli (EHEC) (Shiga toxin-producing E coli (STEC) ) has been associated with mild non-bloody diarrhea, hemorrhagic colitis, a severe form of diarrhea, and with the hemolytic uremic syndrome, a disease resulting in acute renal failure, microangiopathic hemolytic anemia, and thrombocytopenia.EHEC produce verocytotoxin or Shiga like toxin whose primary target appears to be vascular endothelial cells.Ref: Ananthanarayan; 7th edition; Page no: 279